Beta-alanine is end product of metabolism of
1. Uracil
2. Thymine
3. Guanine
4. Adenine

Correct answer: 1. Uracil

Explanation: Uracil is a pyramidine and pyramidine metabolism produces beta alanine Ref-Sathyanarayana 4/e p380